You decide not to prescribe sildenafil in a patient because the patient told you that he is taking an antianginal drug. Which of the following can it be?
1. Calcium channel blockers
2. b adrenergic blockers
3. Organic nitrates
4. Angiotensin converting enzyme inhibitors

Correct answer: 3. Organic nitrates

Explanation: Nitrates act by increasing cGMP and sildenafil inhibits the breakdown of this compound (by inhibiting phosphodiesterase). Marked increase in cGMP levels may result in the profound hypotension and reflex tachycardia.